Kernig's sign is seen in –
1. Pneumonia
2. Acute bacterial meningitis
3. Intellectual disability
4. Cerebral palsy

Correct answer: 2. Acute bacterial meningitis

Explanation: Acute bacterial meningitis 

Acute bacterial meningitis is one of the most potentially serious infections occurring in infants and older children.
It is commoner in neonates and infants than in older children because their immune mechanism and phagocytic functions are not fully matured.

Clinical features of meningitis in children

The onset is acute and the symptoms are -
Fever
Irritability
Headache
Projectile vomiting
Shrill cry 
Bulging fontanel
Seizures
Altered sensorium
Photophobia
Neck rigidity
Generalized hypertonia
Diplopia
Ptosis
Squint

Signs

Kernig's sign → Extension of khee is restricted to less than 135°, when the hip is in 90° flexed position.
Brudzinski sign → On flexing the Neck, there is flexion of the hips and knees.
Tachy cerebrate → If skin of the abdomen is lightly scratched, flushing may be seen.